Which of the following is a non-modifiable risk factor for CHD -
1. Diabetes
2. Smoking
3. Hypertension
4. Old age

Correct answer: 4. Old age

Explanation: Ans. is 6d' i.e., Old age o Old age is a non-modiflable risk factor for atherosclerosis and coronary heart disease (CHD).o Other three (given in question) are modifiable risk factors.Risk factors for atherosclerosis and coronary heart diseaseModifiableo Hyperlipidemiao Diabeteso Trans-unsaturated fat intakeo Hypertensiono Alcoholo Chlamydia pneumonaeo Cigarette smokingo Lipoprotein (a)o CMVo Physical inactivity Nonmodifiableo Old ageo Obesityo Stress (type 'A' personality)o Male gendero Postmenopausalo Homocysteineo Family historyo Prothrombotic factors